Most common joint to undergo recurrent dislocation is :
1. Shoulder joint
2. Patella
3. Knee joint
4. Hip joint

Correct answer: 1. Shoulder joint

Explanation: A i.e. Shoulder